How do you manage placenta accreta
1. Low transverse cesarean; hysterectomy
2. Classical cesarean; hysterectomy
3. Classical cesarean; myometrial resection
4. Low vertical cesarean; hysterectomy

Correct answer: 2. Classical cesarean; hysterectomy

Explanation: Classical cesarean is done to delivery fetus, to avoid the placenta and profuse hemorrhage before fetal delivery. After which, placenta is left in-situ and hysterectomy is done.